A 40-year-old female G4P4L3A1 who gave birth to her third child 1 month ago presented with recent onset of cough and palpitations associated with paroxysmal nocturnal dyspnea, orthopnea and exertional intolerance. Patient also complained of a few episodes of hemoptysis 2 days back. Patient also had a history of pre-eclampsia in her last pregnancy. O/E, JVP- increased Crepts in B/L basal lung fields along Shift of the apical impulse ECHO studies showed left ventricular ejection fraction < 45%. Patient was given treatment for the same but the patient didn't survive. HPE examination was done from autopsied heart. THE gross specimen of the heart is shown below. Which finding would be most likely present on HPE examination: -
1. Lymphocytic myocarditis
2. Eosinophilic myocarditis
3. Basophilic myocarditis
4. Neutrophilic myocarditis

Correct answer: 1. Lymphocytic myocarditis

Explanation: This is a case of peripartum cardiomyopathy. Gross specimen of heart shows massive left ventricular dilation and moderate right ventricular dilation Peripartum cardiomyopathy (PPCM) develops during the last trimester or within the first 6 months after pregnancy. Risk factors are: - Increased maternal age Increased parity Twin pregnancy Malnutrition Use of tocolytic therapy for premature labor Preeclampsia or toxemia of pregnancy. Lymphocytic myocarditis has sometimes been found on myocardial biopsy.